In which of the following conditions left atrium is not enlarged:
1. Ventricular septal defect
2. Atrial septal defect
3. Aortopulmonary window
4. Patent ductus arteriosus

Correct answer: 2. Atrial septal defect

Explanation: Answer is B (ASD) ASD is associated with an enlarged right atrium & right ventricle to accommodate large volume of bloilL The left atrium is not enlarged because it decompresses itself by shunting blood to the right atrium at a minor difference in pressure. The left atrium may enlarge once Eisen menger's syndrome develops and a reversal of shunt is seen across the defect.